Water of reaction needed to react completely with
100 g of calcium sulphate hemihydrates to convert it to calcium sulphate dihydrate
1. 18.6ml
2. 22.2ml
3. 30.4ml
4. 45.3ml

Correct answer: 1. 18.6ml